An optic nerve injury may result in all of the following except:
1. Loss of vision in that eye
2. Dilatation of pupil
3. Ptosis
4. Loss of light reflex

Correct answer: 3. Ptosis

Explanation: Ans. Ptosis